Wrong statement about psychoanalysis is
1. Parapraxis has meaning
2. Transference is patient's feeling for therapist
3. Counter transference is clinician's feelings for patient
4. Unguided communication has no meaning

Correct answer: 4. Unguided communication has no meaning

Explanation: o Father of psychoanalysis Freud founded a type of psychotherapy called psychoanalysis. It is nothing but analyzing the psych(MIND) * He introduced a technique called as a couch technique where he makes the patient lie on the couch, he asks the patient to speak from 'cabbages to kings. This method is called FREE ASSOSIATION. By allowing the patient to speak whatever that comes to their mind randomly so that by analyzing their thoughts we could understand the conflict in the unconscious. * Here unguided communication is the main line of treatment whereas important thing is parapraxis also famously called as fredian slip has significant meaning. TRANSFERENCE============during therapy unconscious direction of feelings from the patient to the therapist COUNTER TRANSFERENCE==== during therapy unconscious direction of feelings from the therapist to the patient Ref.Kaplon and sadock, synopsis of psychiatry, 11 th edition, pg no. 845